Which of the following is the psychological defense mechanism by the virtue of which an individual blames others for his mistake?
1. Rationalization
2. Compensation
3. Projection
4. Regression

Correct answer: 3. Projection

Explanation: Placing unacceptable impulses in yourself onto someone else, i.e. placing blame for the unwanted event upon other is seen in projection.